Most common site for fracture mandible:
1. Condyle
2. Angle
3. Body
4. Symphysis

Correct answer: 1. Condyle

Explanation: Ans. Condyle